Which of the chemical is used in forgery for removing ink?
1. Oxalic acid
2. Acetic acid
3. Formic acid
4. Ammonia

Correct answer: 1. Oxalic acid

Explanation: Oxalic acid is used in cleaning iron rust, bleaching & dyeing. Ink remover solutionQin cases of forgery.